In a patch of vitiligo
1. Melanosomes are absent
2. Melanin synthesis is inhibited
3. Melanocytes are reduced
4. Melanocytes are absent

Correct answer: 4. Melanocytes are absent

Explanation: In a patch of vitiligo, there is a complete loss of melanocytes. In albinism, there is an absence of melanin. IADVL textbook of dermatology , page 754